A patient Shweta with raised serum alkaline phosphatase and raised parathormone level along with low calcium and low phosphate level is likely to have -
1. Primary hyperparathyroidism
2. Paget's disease
3. Osteoporosis
4. Vitamin D deficiency

Correct answer: 4. Vitamin D deficiency

Explanation: Vitamin D deficiency will have : -

Low calcium
Low phosphate
High alkaline phosphatase
High parathormone level (secondary hyperparathyroidism)

About other options

In primary hyperparathyroidism : -


High calcium
Low phosphate
High alkaline phosphatase
High parathormone level


In osteoporosis all these parameters are normal.
In Paget's disease, calcium and phosphate levels are normal. Serum alkaline phosphatase is raised.